Among the toxin produced by Clostridium botulinum, the non-neurotoxic one is
1. A
2. B
3. C1
4. C2

Correct answer: 4. C2

Explanation: Eight types of C.botulinum have been identified (A, B, C1, C2, D, E, F and G) based on the immunological difference in the toxins produced by them. The toxin produced by different strains of Clostridium botulinum are identical in their pharmacological activity but are neutralized only by homologous antiserum. An exception is a C2 toxin which shows enterotoxic activity while others are neurotoxins. Reference: Textbook of Microbiology; Anathanarayan and paniker's; 10th edition; Page no: 269